Which vaccine gives herd immunity-
1. OPV
2. Typhoid
3. Cholera
4. None

Correct answer: 1. OPV

Explanation: Ans. is 'a' i.e., OPV o The vaccine progeny of OPV is excreted in the faeces and secondary spread occurs to household contacts and susceptible contacts in the community. o Non-immunized persons may therefore, be immunized. o Thus widspread "herd immunity"results, even if only approximately 66% of the community is immunized.